Which of the following study type is the best to study natural history of a disease?
1. Cohort Study
2. Case Control Study
3. Randomized Control Trials
4. Interventional Studies

Correct answer: 1. Cohort Study

Explanation: Natural history of a disease is best studied by cohort studies. But these studies tend to be costly and laborious. Hence crossectional and retrospective studies are often undertaken to study natural history of any disease. Ref: Park, 21st Edition, Page 32.